Which of the following is not a precancerous condition to colon -
1. Irritable bowel syndrome
2. Ulcerative colitis
3. Familial polyposis
4. All

Correct answer: 1. Irritable bowel syndrome